Multiple myeloma is diagnosed by-
1. 24 hours urine protein
2. Kidney biopsy
3. > 10% plasmacytosis
4. Rouleaux formation in blood

Correct answer: 3. > 10% plasmacytosis

Explanation: Multiple myeloma is diagnosed by marrow plasmacytosis of 1.more than 10% and 2.radiological evidence of lytic Bony lesions and 3. demonstration of Serum and urine and component Reference textbook of Pathology 7th edition author Harsha Mohan page number 363